All of the following are causes of aplastic anemia except:
1. Hepatitis
2. Gold salts
3. Hepatocellular carcinoma
4. Fanconi anemia

Correct answer: 3. Hepatocellular carcinoma

Explanation: Ans. C: Hepatocellular carcinoma Congenital ---or inherited causes of aplastic anemia (20%) Patients usually have dysmorphic features or physical stigmata. On occasion, marrow failure may be the initial presenting feature. - Fanconi anemia Dyskeratosis congenita Cartilage-hair hypoplasia Pearson syndrome Amegakaryocytic thrombocytopenia - Familial aplastic anemia Acquired causes of aplastic anemia (80%) Idiopathic factors Infectious causes, such as hepatitis viruses, EBV, human immunodeficiency virus (HIV), parvovirus, and mycobacteria Toxic exposure to radiation and chemicals, such as benzene Drugs and elements, such as chloramphenicol, phenylbutazone, and gold may cause aplasia of the marrow. PNH is caused by an acquired genetic defect limited to the stem-cell compartment affecting the PIGA gene. Mutations in the PIGA gene render cells of hematopoietic origin sensitive to increased complement lysis.